Wheal & flare reaction is what type of hypersensitivity recations?
1. Type I
2. Type II
3. Type III
4. Type IV

Correct answer: 1. Type I

Explanation: - type I hypersensitivity reaction is IgE dependent. - it includes atopy and anaphylaxis. - wheat and flare reaction is cutaneous anaphylaxis which is type I hypersensitivity. - when a small shocking dose of an antigen is administered intradermally to a sensitised host, there will be local wheal and flare response. Reference : Anathanarayan & paniker's 9th edition, pg no: 163,164